The largest volume of water is reabsorbed in the nephron at the
1. Collecting duct
2. Proximal convoluted tubule
3. Ascending loop of Henle
4. Descending loop of Henle

Correct answer: 2. Proximal convoluted tubule